A 35-year-old farmer consulted a local medical practitioner for recurrent attacks of chest pain. His elder brother had similar complaints and had died suddenly at the age of 40 years. The farmer was advised to take nitroglycerine sublingulaly at the time of pain. However, the patient finds that the intensity of pain is increased by nitroglycerine. Most probably, he is suffering from -
1. Subacute bacterial endocarditis involving the aortic valve.
2. Hypertrophic obstructive cardiomyopathy.
3. Degenerative mitral regurgitation.
4. Chronic Type A dissection of aorta.

Correct answer: 2. Hypertrophic obstructive cardiomyopathy.